What is the infraclavicular lesion of tuberculosis known as?
1. Gohn's focus
2. Puhl's focus
3. Assman's focus
4. Simmon's focus

Correct answer: 3. Assman's focus

Explanation: Infraclavicular lesion of chronic pulmonary tuberculosis is Assman's focus.Puhl's lesion: It is the site of isolated lesion of chronic pulmonary tuberculosis. It is situated at the apex of lung because blood flow and diffusion is sluggish.